Gracey curettes are area specific instruments because:
1. They are used in the specific areas of the US
2. They adapt to specific areas of the tooth or root
3. They have more than one angle per cutting edge
4. They are used for root planning

Correct answer: 2. They adapt to specific areas of the tooth or root